Which type of alkylating antineoplastic drug is Lomustine
1. Nitrogen musturds
2. Nitrosoureas
3. Alkyl sulfonate
4. Triazine

Correct answer: 2. Nitrosoureas

Explanation: ALKYLATING AGENTS 1)Nitrogen mustards:- Cyclophosphamide, Ifosfamide, Chlorambucil, Melphalan 2)Ethylenimine :- Thio-TEPA 3)Alkyl sulfonate :- Busulfan 4)Nitrosoureas:- Carmustine (BCNU), Lomustine (CCNU) , 5)Triazine :-Dacarbazine (DTIC), Temozolomide 6)Methylhydrazine :-Procarbazine Ref:- kd tripathi; pg num:-858